High oral: Parenteral activity ratio is seen with -
1. Morphine
2. Diacetyl morphine
3. Oxymorphine
4. Methadone

Correct answer: 4. Methadone